Abbe - Estlander Flap is used for:
1. Lip
2. Tongue
3. Eyelid
4. Ears

Correct answer: 1. Lip

Explanation: The Abbe - Estlander Flap is a transposition flap from the opposite lip. In this reconstructive surgery the tissue is borrowed from the opposite lip at the oral commisure. Lip reconstruction may be required after trauma or surgical excision. Ref: CSDT, 12th Edition, Page 1238; Otolaryngology: The Essentials By Allen M. Seiden, Page 154